The factor which promotes virulence of M. tuberculosis -
1. Wax D
2. Cord factor
3. Muramyl dipeptide
4. Mycolic acid

Correct answer: 2. Cord factor